Allergic reactions to amide linked anaesthetic are –
1. Less common than that of ester linked local anesthetics
2. More common than that of ester linked anesthetics
3. Not known
4. None of the above

Correct answer: 1. Less common than that of ester linked local anesthetics

Explanation: Amide local anesthetics have low incidence of allergic reaction in comparison to esters.